Family, which lags behind rest of the community, is known as;
1. Communal family
2. Elementary family
3. Problem family
4. Broken family

Correct answer: 3. Problem family

Explanation: Problem Family: Is a family which lags behind rest of the community. underlying factors in most problem families are those of personality, relationships, backwardness, poverty, illness, mental and social instability, character defects and marital disharmony. - Standards of life are generally far below the accepted minimum. - Parents are unable to meet the physical and emotional needs of children. - Home life is utterly unsatisfactory. Also Remember Nuclear Family (Elementary/Unitary Family): Consists of a married couple and their children while they are still regarded as dependents. Broken Family: Where both parents have separated or where death has occurred of one or both the parents. Communal family: Is a family where all of its members are playing a part in its management.